Tuberculosis of skin is called as – a) Lupus vulgarisb) Lupus pernioc) Lupus profundusd) Scrofuloderma
1. b
2. c
3. ad
4. ab

Correct answer: 3. ad

Explanation: Lupus vulgaris is the most common type of cutaneous tuberculosis.
Scrofuloderma is 2nd most common type of cutaneous tuberculosis.